Prognosis is good in:
1. One wall pocket
2. Two wall pocket
3. Three wall pocket
4. Hemiseptum

Correct answer: 3. Three wall pocket